A 22 year old woman just completed her first trimester of pregnancy. By what time should she feel her first fetal movements:-
1. 12-16 weeks
2. 16-20 weeks
3. 26 - 28 weeks
4. 28-32 weeks

Correct answer: 2. 16-20 weeks

Explanation: Quickening is perception of fetal movements by the pregnant lady. Primigravida - Quickening occurs at 18 - 20 weeks Multigravida - Quickening occurs at 16 - 18 weeks